Which cell doesn't take part in atherogenesis?
1. Neutrophil
2. Platelet
3. Monocyte
4. Smooth muscle

Correct answer: 1. Neutrophil

Explanation: Ans: A (Neutrophil) Ref: Robbins Pathologic Basis of Disease, 8th editionExplanation:PATHOGENESIS OF ATHEROSCLEROSISThere are two dominant hypotheses:Intimal cellular proliferationThe repetitive formation and organization of thrombi.The contemporary view of atherogenesis incorporates elements of both theories and also the risk factors I Response-to-injury hypothesis)Atherosclerosis is a chronic inflammatory and healing response of the arterial wall to endothelial injury.Lesion progression occurs through the interaction of modified lipoproteins, monocyte-derived macrophages, and T lymphocytes with the normal cellular constituents of the arterial wallAtherosclerosis is produced by the following pathogenic events:Endothelial injury, which causes (among other things) increased vascular permeability, leukocyte adhesion, and thrombosis.Accumulation of lipoproteins (mainly LDL and its oxidized forms) in the vessel wall.Monocyte adhesion to the endothelium, followed by migration into the intima and transformation into macrophages and foam cells.Platelet adhesion.Factor release from activated platelets, macrophages, and vascular wall cells, inducing smooth muscle cell recruitment, either from the media or from circulating precursors.Smooth muscle cell proliferation and ECM production.Lipid accumulation both extracellular!} and within cells (macrophages and smooth muscle cells).